The reaction catalyzed by phosphofructokinase:
1. Is activated by high concentrations of ATP and citrate
2. Uses fructose-l-phosphate as substrate
3. Is the rate-limiting reaction of glycolytic Pathway?
4. Is inhibited by fructose 2, 6-bisphosphate

Correct answer: 3. Is the rate-limiting reaction of glycolytic Pathway?

Explanation: Ans. C. Is the rate-limiting reaction of glycolytic PathwayPhosphofructokinase is the key enzyme of glycolysis. It phosphorylates Fructose-6- phosphate to form Fructose 1,6- bisphosphate. It is inhibited by ATP and Citrate ions and allosterically modified by AMP. PFK has two activities. PFK1 forms Fructose 1,6- bisphosphate and PFK2 forms Fructose 2,6-bisphosphate. The former reaction is irreversible and the latter reversible. Fructose 2,6-bisphosphate depicts the energy status of the body.